AFP is raised in:
1. Teratoma
2. Yolk sac tumor
3. Choriocarcinoma
4. Dysgerminoma

Correct answer: 2. Yolk sac tumor

Explanation: Yolk sac tumor is the second most common malignant germ cell tumor of the ovary. This tumor produce-feto protein (AFP) which can be used as a marker to monitor its regression or recurrence. Characteristic histologic feature is the presence of cystic spaces lined by flattened epithelium, within this space Schiller-Duval bodies are seen. Eosinophilic hyaline bodies containing aFP are also present. Ref: Novak's Textbook of Gynecology, 14th Edition, Page 1505; Textbook of Gynecology By DC Dutta, 4th Edition, Page 354; Pediatric Oncology, Surgical & Medical Aspects By Devendra K. Gupta, DK Gupta, Robert Carachi, Robert Carachi, Page 42; Diagnostic Pathology of Ovarian Tumors By Robert A. Soslow, Carmen Tornos, Page 147.